Crystal violet blood agar is used for which bacteria?
1. Corynebacterium diphtheriae
2. Staph aureus
3. b-hemolytic streptococcus
4. Meningococcus

Correct answer: 3. b-hemolytic streptococcus

Explanation: b-hemolytic streptococcus